Negro body is seen in:
1. CMV
2. Rabies
3. Inclusion of herpes simplex
4. EBV

Correct answer: 2. Rabies

Explanation: Ans. (b) Rabies Negri bodies are the intracytoplasmic inclusions of rabies virus in the CNS. Negri bodies are distributed throughout the brain particularly in Ammon's horn, the cerebral cortex, the brain stem, the hypothalamus, purkinje cells of cerebellum and the dorsal root spinal ganglia. They are not seen in about 20% cases of rabies and their absence does not rule out the diagnosis. Inclusion Bodies It is of following types: Intracytoplasmic eosinophilic inclusions: Negri bodies rabies Guarnieri bodies variola (small pox), vaccinia Bollinger bodies fowlpox Henderson - Peterson bodies molluscum contagiosum Intranuclear acidophilic inclusion bodies: Cowdry type A herpes, chicken pox, CMV, yellow fever Torres bodies yellow fever Cowdry type B polio virus Both Nuclear and cytoplasmic: Warthin Finkeldey measles Intranuclear basophilic inclusion bodies: Cowdry type B adenovirus